Sudden death can be due to
1. Ventricular fibrillation
2. QT prolongation
3. Atrial flutter
4. VPCs

Correct answer: 1. Ventricular fibrillation

Explanation: Ans. a (Ventricular fibrillation). (Ref. Harrison, Principles of Medicine, 18th/Chapter 233.)# Most common electrical mechanism of true cardiac arrest is ventricular fibrillation, responsible for 65-80% of cardiac arrests.# Episodes of cardiac arrest during Holter monitoring reveal that 3/4th of sudden deaths are due to VT/VF.# Treatment: Imparted cardioversion/defibrillator/amiodarone.VPCs in asymptomatic Young individual need no treatment.